Which of the following is/are cyclo–oxygenase inhibitors :
1. Aspirin
2. Indomethacin
3. Rofecoxib
4. All of these

Correct answer: 4. All of these